Pyruvate dehydrogenase contains all except -
1. Biotin
2. NAD
3. FAD
4. CoA

Correct answer: 1. Biotin

Explanation: A i.e. BiotinPyruvate, the end product of aerobic glycolysis is transported into mitochondria by specific pyruvate transporter, where it is converted to acetyl CoA by pyruvate dehydrogenase (PDH) complexQ.